The first branch of the facial nerve is -
1. Greater petrosal nerve
2. Lesser petrosal nerve
3. Chorda-tympani nerve
4. Nerve to the stapedius

Correct answer: 1. Greater petrosal nerve

Explanation: Greater superficial petrosal nerve: - It is the first branch and arises from geniculate ganglion (i.e., first genu). It joins the deep petrosal nerve to form vidian nerve (nerve to the pterygoid canal) and carries secretomotor fibres to the lacrimal gland, nasal gland, Palate gland and pharyngeal gland.